In Hemophilia B what is most common cause of death?
1. Hemorrhage
2. HIV, HBV, HCV due to transfusions
3. Transfusion reactions
4. Deep vein thrombosis

Correct answer: 1. Hemorrhage

Explanation: Hemophilia B- inherited, X-linked recessive disorder resulting in deficiency of functional plasma coagulation factor IX. Morbidity and death are primarily the result of hemorrhage, although infectious diseases (e.g., HIV, hepatitis) also has some role.